RHIME  is used for measuring
1. Neonatal Mortality rate
2. Maternal Mortality rate
3. Infant Mortality rate
4. Perinatal Mortality rate

Correct answer: 2. Maternal Mortality rate